Charcot's Joint includes all of the following except :
1. Syringomyelia
2. Leprosy
3. Diabetes
4. Arthrogryposis Multiplex Congenita

Correct answer: 4. Arthrogryposis Multiplex Congenita

Explanation: Answer is D (Arthrogryposis multiplex congenita) : Syringomyelia, Leprosy and diabetes are all common causes fin- Neuropathic / Charcot joint disease. Arthrogryposis multiplex congenita comprises a non progressive condition characterized by multiple joint contractures found throughout the body at birth. Charcot joint has not been mentioned in association with Arthrogryposis multiplex. Charcot joint : Neuropathic joint - Neuropathic joint disease (Charcot's joint) is a progressive destructive arthritis associated with loss of pain sensation, proprioception or both. Without these protective reflexes joints are subject to repeated trauma, resulting in progressive cartilage and bone damage. Disorders associated with Neuropathic joint disease/Charcot's joint Diabetes Mellitus Tabes Dorsalis Meningomyelocele Syringomyclia Amyloidosis Leprosy Congenital indifference to pain Peroneal muscular atrophy (Charcot-Marie Tooth disease) Diabetes mellitus is the most common cause for Neuropathic joint disease Q